Management of grade III splenic trauma in a stable child:a) Embolizationb) Conservativec) Partial splenectomyd) Total splenectomy
1. ac
2. a
3. ad
4. ab

Correct answer: 4. ab